After 30% loss of blood volume in road traffic accident. What next min is to be given -
1. IV fluid only
2. IV fluid with cardiac stimulant
3. Dopamine
4. Vasopressor drug

Correct answer: 1. IV fluid only